Paralysis of recurrent laryngeal nerve true is -
1. Common in (Lt.) side
2. 50 % idiopathic
3. Cord will lie laterally
4. Speech therapy given

Correct answer: 1. Common in (Lt.) side

Explanation: Left recurrent laryngeal nerve is more prone to paralysis compared to right one because of its much longer course.